A 45-year-old was given steroids after renal transplant. After 2 years he had difficulty in walking and pain in both hips. Which one of the following is most likely cause?
1. Primary Osteoarthritis
2. Avascular necrosis
3. Tuberculosis
4. Aluminum toxicity

Correct answer: 2. Avascular necrosis

Explanation: Ans. B. Avascular necrosisMnemonic for causes of avascular necrosis other than fracture - SCLERAa. S-Steroidsb. C-Caisson's diseasec. LE - Lupus Erythematosusd. R-Radiatione. A-Alcohol